The presence of active bronchospasm intravenous anaesthetic agent of choice :
1. Ketamine
2. Thiopentone
3. Propofol
4. Etomidate

Correct answer: 1. Ketamine

Explanation: Ketamine has well-characterized bronchodilatory activity. In the presence of active bronchospasm it is agent of Choice. Propofol is also bronchodilator etomidate is also bronchodilator all inhalational agents are bronchodilator Halothane is best